Epithelial attachment is derived from
1. Reduced enamel epithelium
2. Dental papilla
3. Inner enamel epithelium
4. Dental sac

Correct answer: 1. Reduced enamel epithelium